Oesophagus crosses the diaphragm at the level of:
1. T8
2. T10
3. T12
4. T2

Correct answer: 2. T10

Explanation: T10